Leucovorin rescue is related to :
1. Methotrexate toxicity
2. Cyclophosphamide toxicity
3. Oncovin toxicity
4. Cisplatin toxicity

Correct answer: 1. Methotrexate toxicity